Cerebellar toxicity is seen with -
1. Cisplatin
2. Cytarabine
3. Bleomycin
4. Actinomycin D

Correct answer: 2. Cytarabine

Explanation: Ans. is 'b' i.e., Cytarabine